Oxidation of a fatty acid with an odd number of carbon atoms yields:
1. Acetyl-CoA plus a molecule of Propionyl-CoA
2. Two molecules of Acetyl CoA
3. Two molecules of Propionyl CoA
4. Acetyl CoA only

Correct answer: 1. Acetyl-CoA plus a molecule of Propionyl-CoA

Explanation: Fatty acids with an odd number of carbon atoms are oxidized by  the  pathway  of  β xidation  described  above  producing acetyl  CoA  until  a  three-carbon  (propionyl-CoA)  residue remains. This compound is converted to succinyl-CoA, a constituent of the citric acid cycle. Hence, the propionyl residue from an odd-chain fatty acid is the only part of a fatty acid that is glucogenic.
HARPERS ILLUSTRATED BIOCHEMISTRY30th ed, Page No:225